Voyeurism is also known as:
1. Scoptophilia
2. Eonism
3. Frotteurism
4. Onanism

Correct answer: 1. Scoptophilia

Explanation: Ans. Scoptophilia